Position for orotracheal intubation
1. Extension of neck and atlanto-occipital joint
2. Extension of only neck
3. Flexion of neck only
4. Flexion of neck and extension of atlanto-occipital joint

Correct answer: 4. Flexion of neck and extension of atlanto-occipital joint

Explanation: Flexing of cervical joint at neck approx. 25-30degrees and extension of atlanto -occipital joint (head) approx. 85-110degrees enables oropharyngeal, pharyngolaryngeal and laryngotracheal axis in one line that allows easy intubation -This position is called as SNIFFING POSITION.